Positive Prehn's sign is?
1. Elevation of testis increase pain of epididymitis
2. Elevation of testis reduces pain of epididymitis
3. Depression of testis increases pain of epididymitis
4. Depression of testis reduces pain of epididymitis

Correct answer: 2. Elevation of testis reduces pain of epididymitis

Explanation: ANSWER: (B) Elevation of testis reduces pain of epididymitisREF: Blueprints Urology by Stanley Zaslau- Page 127, http://en.wikipedia.org/wiki/Prehn%27s_ signPrehn's sign is a medical diagnostic indicator that was once believed to help determine whether the presenting testicular pain is caused by acute epididymitis or from testicular torsion.Prehn s sign has been shown to be inferior to Doppler ultrasound to rule out testicular torsion.According to Prehns sign, the physical lifting of the testicles relieves the pain of epididymitis but not pain caused by testicular torsion.Negative Prehn's sign indicates no pain relief with lifting the affected testicle, which points towards testicular torsion which is a surgical emergency and must be relieved within 6 hours.Positive Prehn's sign indicates there is pain relief with lifting the affected testicle, which points towards epididymitis